ROME III criteria is for?
1. IBS
2. Ulcerative colitis
3. Colonic cancer
4. Colonic hemangiomatas

Correct answer: 1. IBS

Explanation: Rome III criteria is for the diagnosis of irritable bowel syndrome(IBS). It is as follows: Recurrent abdominal pain or discomfort at least 3 days/month in last 3 months, associated with 2 or more of the following : * Improvement with defecation. * Onset associated with a change in frequency of stool. * Onset associated with a change in form (appearance) of stool. Reference : page 907 Davidson's principles and practice of Medicine 22nd edition